Which of the following is a purely ketogenic aminoacid?
1. Phenylalanine
2. Tyrosine
3. Tryptophan
4. Leucine

Correct answer: 4. Leucine

Explanation: Ans. is 'd' i.e., LeucineA) Glucogenic amino acids These can be converted into glucose. 14 amino acids are glucogenic: alanine, arginine, aspargine, aspartic acid, cysteine, glutamine, glutamic acid, glycine, histidine, methionine, proline, serine, threonine, valine.B) Ketogenic amino acids These can be converted into ketone bodies. These are leucine and lysine.C) Both glucogenic and ketogenic amino acids These can be converted into both glucose and ketone bodies. These are isoleucine, phenylalanine, tyrosine, tryptophan.Note: According to Harper 29th/e (P-282), lysine is both ketogenic and glucogenic. But all other textbooks have mentioned it as ketogenic.